A sea snake is -
1. Neurotoxic
2. Hemotoxic
3. Musculotoxic
4. All of the above

Correct answer: 3. Musculotoxic